Which of the following is not a vital part of the physical exam for patients with TMJ complaints?
1. Soft-tissue symmetry
2. Joint tenderness and sounds
3. Soft-palate length
4. Range of motion of the mandible

Correct answer: 3. Soft-palate length

Explanation: Tissue symmetry, tenderness, joint noises dental health and occlusion and range of motion are all critical components of the physical exam in the TMJ patient. Although the length of the soft palate is important in the evaluation of patients with sleep apnea, snoring, patients being sedated, or patients needing complete denture construction, it does not contribute directly to TMJ dysfunction.